Vasomotor reversal of Dale is due to:
1. α blocker
2. β–blocker
3. α and β–blocker
4. None

Correct answer: 1. α blocker